Quality of life is defined as-
1. Standard of living
2. Level of living
3. Subjective feeling of well being
4. All of the above

Correct answer: 3. Subjective feeling of well being

Explanation: Quality of life

The level of living and standard of living are objective criteria of well being, while quality of life comprises the individuals own subjective evaluation of these.
Recent definition of quality of life is as follows “a composite measure of physical mental and social well being as perceived by each individual or group of individuals.”
WHO definition is as follows “the condition of life resulting from the combination of the effects of the complete range of factors such as those determining health, happiness, education, etc".